Pathology in motor neuron disease is at?
1. Anterior horn cells
2. Posterior column tracts
3. Spinothalamic tract
4. Peripheral nervous system

Correct answer: 1. Anterior horn cells